All of the following are the good prognostic features for Hodgkin's disease except -
1. Hemoglobin > 10g/dl
2. WBC count < 15000/mm3
3. Absolute lymphocyte count < 600/uI
4. Age < 45 years

Correct answer: 3. Absolute lymphocyte count < 600/uI